All the following are true about obstructive lung disease except
1. Decreased FeV1
2. Decreased MEFR
3. Increased RV
4. Increased diffusion capacity

Correct answer: 4. Increased diffusion capacity

Explanation: Diffusion capacity is decreased in restrivtive lung disease.decreased in expiratory flow rate is a hallmark of obstructive lung disease. Residual volume is increased & FEV1/FVC is decresde Ref Harrison 19th edition pg 1661